A hypertensive individual had a sudden headache and became unconscious within a few minutes. On regaining consciousness, there was complete flaccid hemiplegia with no involvement of upper face, absence of tendon reflexes and a positive Babinski sign. Which one of the following arteries could have ruptured :
1. Lateral striate branch of middle cerebral
2. Medial striate branch of anterior cerebral
3. Posterolateral branch from posterior cerebral
4. Posterior choroidal branch of posterior cerebral

Correct answer: 1. Lateral striate branch of middle cerebral

Explanation: Answer is A (Lateral striate branch of middle cerebral): This is a case of hypertensive intracerebral haemorrhage affecting the basal ganglia. Basal ganglia is supplied through medial and lateral striate branches of middle cerebral artery. Lateral striate branch of middle cerebral artery is thus the site of rupture Hypertensive hemorrhage almost always occurs while the patient is awake and sometimes when stressed. It generally presents as severe headache along with abrupt onset of focal neurological deficit. The focal deficit typically worsens steadily and is associated with a diminishing level of consciousness and signs of increased ICP, such as headache & vomiting. The focal neurological signs vary according to the site of the hemorrhage Basal ganglia Thalamus Pons Cerebellum Arteries involved Arteries involved Arteries involved Arteries involved Medial & lateral striate branches of Middle cerebral artery. Perforating branches of posterior cerebral artery Basilar artery Cerebellar arteries - Superior cerebellar - Ant. inferior - Post. Inferior Manifestations Manifestations Manifestations Manifestations * Contralateral hemiparesis * Hemisensory loss involving all modalities * Quadriplegia * Occipital headache is the sentinel sign * Contralateral hemiparesis * Deep coma * Vomiting * Paralysis may worsen sensory loss > motor loss * Decerebrate * Gain ataxia until the affected limbs * Several typical ocular disturbances: rigidity Q * Dizziness or vertigo become flaccid or extend - down & inward deviation of eyes ** Pinpoint pupil * Ocular changes rigidly - unequal pupils with loss of light reflex that react to light - paresis of conjugate gaze * When haemorrhage is - skew deviation with eye opp. * Impairment of - forced deviation of eyes large signs of brainstem haemorrhage deviated down and reflex eye to opposite side compression may appear - Coma medially - I/L homers syndrome movement on head turning - I/L 6th nerve palsy * Dysarthria - Cheyne Stokes respiration - Dilated & fixed ipsilateral pupil - Absence of convergence - Paralysis of vertical gaze - Retraction nystagmus * Contralateral pain syndrome (Deferne- (doll's head or occulocephalic maneuver) * Hyperapnea * Dysphagia * Stupor & coma if brainstem compression occurs - Decerebrate rigidity Roussy syndrome) * Hypertension * Aphasics * Hyperhydrosis